Hirsutism is caused by which drug:
1. Minoxidil
2. Dactinomycin
3. Cycloserine
4. Valsartan

Correct answer: 1. Minoxidil

Explanation: Ans. (A) Minoxidil(Ref: KDT 6th/e p548)Minoxidil is a potassium channel opener, useful as antihypertensive drug. It can cause hirsutism in females and is used for the treatment of alopecia in males.